A patient at 34 weeks pregnancy presents with acute liver failure with coagulopathy and IUFD. BP is normal , viral markers are negative. Most probable diagnosis is?
1. IHCP
2. Viral hepatitis
3. Acute fatty liver of pregnancy
4. Obstructive jaundice

Correct answer: 3. Acute fatty liver of pregnancy

Explanation: Acute fatty liver of pregnancy Presents late in pregnancy Presentation: persistent nausea/ vomiting, malaise, progressive jaundice, liver failure, may be associated with pre eclampsia Complications: coagulopathy, renal failure, death, fetal distress, IUD Management: resuscitation, blood and blood products( coagulopathy), Termination of pregnancy to be done irrespective of gestation